A 40 old female was sent to Radiology dept for thyroid USG scan, Which probe you will use for thyroid scan..?
1. Phase array
2. Curvilinear
3. Endocavitary
4. Linear

Correct answer: 4. Linear

Explanation: Endocavitary probes - with high frequency and better imaging as Transvaginal & Transrectal probes. TVS Sectoral probe used for Transcranial USG. Sectoral/phase arrayed probe has a smaller footprint and is used in chest USG, Echo, and Transcranial USG. Linear Probes have higher frequency, better resolution and lesser penetration and are used for imaging superficial structures like Thyroid scans, carotid dopplers, breast and scrotal USG. Curvilinear probes have lesser frequency,poorer resolution and greater penetration and mainly used for imaging deeper structures.